A man presented with a mass in the neck which is slow-growing. It is not causing pain or any other symptoms. On examination, it is a firm, non-tender pulsatile mass in the region of the carotid bifurcation. Diagnosis was made as carotid body tumor by angiogram. Where does carotid body tumor arise from?
1. Carotid sinus
2. Carotid artery
3. Parasympathetic paraganglioma
4. Symapthetic paraganglioma

Correct answer: 3. Parasympathetic paraganglioma

Explanation: Paragangliomas are tumors arising from adrenal medulla or extra-adrenal paraganglia. These include pheochromocytoma - intraadrenal paraganglioma, extraadrenal sympathetic paraganglioma, and extraadrenal parasympathetic paraganglioma, including tumors termed chemodectoma, and carotid body glomus tumor. Sympathetic paragangliomas consist of endocrine cells which can produce catecholamines. These tumors are located intraabdominally. Parasympathetic paragangliomas develop from the paraganglias of parasympethicus such as paraganglium caroticum, jugulare, tympanicum and intravagale. These tumors are predominantly found in the area of head, neck, and mediastinum. Angiogram of carotid body tumor reveals widening of the carotid bifurcation with prominent tumor vascularization. Ref: Stem Cells and Cancer Stem Cells, Volume 1: Stem Cells and Cancer Stem Cells ... edited by M.A. Hayat, 2011, Page 38 ; Harrison's internal medicine 17th edition chapter 337 ; Devita 6thedition section 30.4 ; Anatomic Basis of Tumor Surgery edited by William C. Wood, Charles Staley, John E. Skandalakis, 2010, Page 123